In case of pelvic fracture with urethral injury, the most important first step in management is?
1. Repair in injured urethra
2. Fixation of pelvic fracture
3. Treatment of shock and haemorrhage
4. Splinting urethra with catheters

Correct answer: 3. Treatment of shock and haemorrhage

Explanation: Ans. is 'c' i.e., Treatment of shock and haemorrhage